Characterized by chronic, multiple tics -
1. Parkinson's disease
2. Wilson's disease
3. Shy-Drager syndrome
4. Tourette's syndrome

Correct answer: 4. Tourette's syndrome

Explanation: Ans is 'd' i.e. Tourette's syndrome Tourette syndromeo Tourette syndrome (also called Tourette's syndrome, Tourette's disorder, Gilles de la Tourette syndrome, GTS or, more commonly, simply Tourette's or TS) is an inherited neuropsychiatric disorder with onset in childhood, characterized by multiple physical (motor) tics and at least one vocal (phonic) tic.o Average onset between the ages of 3 and 9 years. Males are affected about three to four times more often than females.o Common associations are ADHD and OCD.o Tics are classified as either simple or complex. Some of the more common simple tics include eye blinking and other eye movements, facial grimacing, shoulder shrugging, and head or shoulder jerking. Simple vocalizations might include repetitive throat-clearing, sniffing, or grunting sounds. Complex motor tics might include facial grimacing combined with a head twist and a shoulder shrug. Other complex motor tics include sniffing or touching objects, hopping, jumping, bending, or twisting. More complex vocal tics include words or phrases. Perhaps the most dramatic and disabling tics include motor movements that result in self-harm such as punching oneself in the face or vocal tics including coprolalia (uttering socially inappropriate words such as swearing) or echolalia (repeating the words or phrases of others).o Majority of people with TS require no medication for tic suppression. However, Neuroleptics are the most consistently useful medications for tic suppression. Additional medications with demonstrated efficacy include alpha-adrenergic agonists such as clonidine and guanfacin.